What will be the consequence if the left optic nerve is cut
1. Left eye complete blindness with loss of contralateral direct and ipsilateral consensual light reflex
2. Left eye complete blindness with loss of ipsilateral direct and contralateral consensual light reflex
3. Left eye complete blindness with no effect on light reflex
4. Bitemporal hemianopia

Correct answer: 2. Left eye complete blindness with loss of ipsilateral direct and contralateral consensual light reflex

Explanation: Answer- B. Left eye complete blindness with loss of ipsilateral direct and contralateral consensual light reflexLesion of optic nerve causes-Complete visual field loss of the ipsilateral eye (blindness);Abolition of ipsilateral direct and contralateral consensual light reflex;